Long acting insulin is ?
1. Insulin glargine
2. Insulin lispro
3. Insulin aspart
4. Insulin glulisine

Correct answer: 1. Insulin glargine